Most important for diapedesis ?
1. PECAM
2. Selectin
3. Integrin
4. Mucin like glycoprotein

Correct answer: 1. PECAM

Explanation: Ans. is 'a' i.e., PECAMo Platelet endothelial cell adhesion molecule (PECAM or CD-31) is present on both endothelium and leukocytes. o It is the major adhesive molecule for diapedisis.